All are relevant in compartment syndrome except:
1. Fasciotomy
2. Splitting of tight pop cast
3. Reexploration
4. Exercise

Correct answer: 4. Exercise

Explanation: D i.e. Excercise Excercise may increase intra compartmental pressure & muscle edema, so it is avoided in cases of acute compartmental syndromeQ.